Extradural haemorrhage is caused by
1. Rupture of Middle meningeal artery
2. Rupture of Middle meningeal vein
3. Rupture of Bridging veins
4. Rupture of Internal carotid artery

Correct answer: 1. Rupture of Middle meningeal artery

Explanation: (A) Rupture of Middle meningeal artery # Extradural haematoma (EDH), also known as an Epidural haematoma, is a collection of blood that forms between the inner surface of the skull and outer layer of the dura, which is called the periosteal layer.> They are commonly associated with a history of trauma and associated skull fracture.> The source of bleeding is usually a torn meningeal artery (most commonly, the middle meningeal artery).> EDHs are typically biconvex in shape and can cause a mass effect with herniation.> They are usually limited by cranial sutures, but not by venous sinuses.> Both CT and MRI are suitable to evaluate EDHs.> When the blood clot is evacuated promptly (or treated conservatively when small), the prognosis of EDHs is generally good.